Drug useful in hepatic encephalopathy is:
1. Magnesium sulphate
2. Lactulose
3. Bisacodyl
4. Biphosphonates

Correct answer: 2. Lactulose

Explanation: Ans. (B) Lactulose(Ref: KDT 8th/e p725)Lactulose is a laxative that acts by conversion to short chain fatty acids in the colon.These fatty acids result in decrease in pH of intestinal juice.At low pH, ammonia becomes ionized (NH4+ ) and thus cannot be absorbed.